68-year-old male with hypertension presents for annual examination. On review of systems he reports urinary hesitancy and nocturia. Your examination reveals a nontender but enlarged prostate without nodules. On review of his blood pressure logs and clinic readings he is averaging values of 150/80 mm Hg. Wof medication offer treatment of HTN and prostatic symptoms
1. Aliskiren
2. Propranolol
3. Furosemide
4. Terazosin

Correct answer: 4. Terazosin

Explanation: a-ADRENERGIC BLOCKERS Terazosin, Doxazosin These are long-acting congeners of prazosin with similar properties but suitable for once daily dosing. advantages include * Does not impair carbohydrate metabolism; suitable for diabetics, but not if neuropathy is present, because postural hypotension is accentuated. * Has a small but favourable effect on lipid profile: lowers LDL cholesterol and triglycerides, increases HDL. * Affords symptomatic improvement in coexisting benign prostatic hypertrophy. Ref:- kd tripathi; pg num:-564,565